The amino acid which is associated with atherosclerosis is:
1. Lysine
2. Homocysteine
3. Cysteine
4. Alanine

Correct answer: 2. Homocysteine

Explanation: Ans. is 'b' i.e. Homocysteine Increased homocysteine level is considered a risk factor for atherosclerosisHarrison states "A large body of literature suggests a relationship between hyperhomocysteinemia and coronary events.Several mutations in the enzymes involved in homocysteine accumulation correlate with thrombosis and in some studies coronary risk."But prospective studies have not shown a robust utility of hyperhomocysteinemia in CHD risk stratification and there are no clinical trial data showing that intervention to lower homocysteine levels reduces CHD events.Also know,Homocysteine is an amino acid resulting from the synthesis of cysteine from methionine and enzyme reaction of cobalamine and folate.Fortification of the U.S. diet with folic acid to reduce neural tube defects has lowered homocysteine levels in the population.